The effective range of shot gun is :
1. 10 to 15 yards
2. 20 to 30 yards
3. 30 to 40 yards
4. 60 to 80 yards

Correct answer: 3. 30 to 40 yards

Explanation: C i.e. 30 - 40 yards